Which of the following is associated with suicide risk?
1. Noradrenaline
2. Serotonin
3. GABA
4. Dopamine

Correct answer: 2. Serotonin

Explanation: Ans. B SerotoninLow concentrations of 5-hydroxyindoleacetic acid (5-HIAA- metabolite of serotonin) in CSF associated with higher suicide risk